Lab finding in a patient of GBS:
1. Acellular spinal fluid with high protein
2. Abnormal EMG that shows axonal degeneration
3. Positive tension test
4. Elevated CPK

Correct answer: 1. Acellular spinal fluid with high protein

Explanation: Ans. A. Acellular spinal fluid with high proteinGuillain-Barre syndrome is characterized by an elevated CSF protein with few if any white blood cells. EMG would show a demyelinating process with nonuniform slowing and conduction block. Arterial blood gases would show a respiratory acidosis secondary to hypoventilation. CPK levels should be normal, as there is no involvement of muscle in this disease process. Research lab oratories show antiganglioside antibodies in as high as 50% of patients with Guillain-Barre syndrome.